"Res ipsa loquitar" means
1. Vicarious responsibility
2. Relation of doctor and anaesthesia.
3. Things speak for themselves.
4. Related to civil negligence.

Correct answer: 3. Things speak for themselves.

Explanation: Ans. c (Things speak for themselves). (Ref. Parikh, FMT, 5th ed., 575)In cases of professional negligence in some circumstances doctrine of "Res ipsa loquitar" (Things speak for themselves) can be invoked.